Gas used to measure the diffusion capacity of lung
1. CO
2. NO
3. CO2
4. Nitrogen

Correct answer: 1. CO

Explanation: Diffusion Capacity. Diffusion capacity assesses how well a tracer gas in inspired air can cross from the air into the blood. The test measures the absorption of a low concentration of carbon monoxide in inhaled air by hemoglobin in red blood cells that circulate through pulmonary capillaries. Ref: guyton and hall textbook of medical physiology 12 edition page number: 348,349,350